All are true about Gilbert's syndrome except ?
1. Mild conjugated hyperbilirubinemia
2. Autosomal dominant
3. Nonnal liver histology
4. Almost normal liver function tests

Correct answer: 1. Mild conjugated hyperbilirubinemia

Explanation: Ans. is 'a' i.e., Mild conjugated hyperbilirubinemia Gilbert syndrome o Gilbert syndrome is a type of congenital unconjugated hyperbilirubinemia. It is autosomal dominant. o Hepatic biochemical tests are normal There is normal hepatic histology, but in some patients increased lipofuscin pigment may occur. There is mild increase in unconjugated bilirubin --> No kernicterus o Defect is ? a) Decreased hepatic uptake of bilirubin b) Decreased activity of UDP G transferase o Phenobarbitone decreases the level of unconjugated bilirubin by increasing its conjugation --> Phenobarbitone induces UDPG transferase activity. o Hemolysis may be seen. o The disposition of most xenobiotics metabolized by glucronidation appears to be normal except for antitumor drug irinotecan.